Which of the following is eliminated by Hoffmann elimination?
1. Althesin
2. D'Tubocurarine
3. Pancuronium
4. Atracurium

Correct answer: 4. Atracurium